Chronological age 10yrs, mental age 4yrs. What that person called as?
1. Idiot
2. Imbecile
3. Normal
4. Genius

Correct answer: 2. Imbecile

Explanation: Ans. is 'b' i.e., Imbecile